Arachnodactyly/ spider fingers is seen in:
1. Down's syndrome
2. Turner's syndrome
3. Marfan's syndrome
4. All of the above

Correct answer: 3. Marfan's syndrome

Explanation: Ans. C i.e. Marfan's syndrome